Which of the following viruses causes an acute febrile rash and produces disease in immunocompetent children but has been associated with transient aplastic crises in persons with sickle cell disease?
1. Rubeola
2. Varicella-zoster
3. Parvovirus
4. Rubella

Correct answer: 3. Parvovirus

Explanation: Parvovirus B 19 is the causative agent of erythema infectiosum (fifth disease). It is associated with transient aplastic crisis in persons with hereditary hemolytic anemia. In adults, it is also associated with polyarthralgia.